The first case introduced into the population group to be studied is called:
1. Index case
2. Primary case
3. Initial case
4. Reference case

Correct answer: 2. Primary case

Explanation: Ans: b (Primary case) Ref: Park, 19th ed, p. 90The term primary case refers to the first case of a communicable disease introduced into the population unit being studied.The term index case refers to the first case to come to the attention of the investigator; it is not always the primary case. Secondary cases are those developing from contact with primary case.